Scientist who won Nobel prize for research in split brain personality?
1. Penfield
2. Roger Sperry
3. Michael Morgis
4. George D. Snell

Correct answer: 2. Roger Sperry

Explanation: (B) Roger Sperry# Roger Sperry being awarded the Nobel Prize in Physiology or Medicine in 1981.> Sperry received the prize for his discoveries concerning the functional specialization of the cerebral hemispheres.> With the help of so-called "split brain" patients, he carried out experiments, and for the first time in history, knowledge about the left and right hemispheres was revealed.